Pyriform sinus is laterally bounded by what?
1. Interarytenoid artery
2. Thyroid artery
3. Epiglottis
4. Thyrohyoid membrane

Correct answer: 4. Thyrohyoid membrane

Explanation: On either side of the laryngeal orifice in humans is a recess, termed the piriform sinus (also piriformrecess, pyriform sinus, piriform fossa, or smuggler's fossa), which is bounded medially by the aryepiglottic fold, laterally by the thyroid cartilage and thyrohyoid membrane. The fossae are involved in speech.